"Cystercosis" is caused by :
1. Taenia solium
2. Taenia saginata
3. Echinococcus
4. None

Correct answer: 1. Taenia solium

Explanation: Taenia solium